All are indications of lithium except:
1. Neutropenia
2. Major Depression
3. Vasculogenic Headache
4. Generalized anxiety disorder

Correct answer: 4. Generalized anxiety disorder

Explanation: Ans. (D) Generalized anxiety disorder(Ref: Kaplan Saddock's Synopsis of Psychiatry, 8th/2499; KDT 8/e p477)Lithium is used to treat acute mania and bipolar disorder.Lithium is also used as prophylaxis for depression and mania in bipolar disorder.It is sometimes used for other psychiatric disorders such as cycloid psychosis and unipolar depression.Non-psychiatric uses are limited. However, it is used in the prophylaxis of some headaches related to cluster headaches.Leucocytosis is the side effect of lithium. So it is also used for the treatment of drug induced neutropenia especially in patients on anti-cancer therapy.